Pica is associated with poisoning:
1. Mercury
2. Arsenic
3. Lead
4. Phosphorus

Correct answer: 3. Lead

Explanation: Ans. Lead